Mechanism of action of donepezil is :
1. Centrally acting reversible anticholinesterase
2. Centrally acting irreversible anticholinesterase
3. Irreversible cholinergic action
4. Reversible anticholinesterase

Correct answer: 1. Centrally acting reversible anticholinesterase